Major criteria for rheumatic fever - AJE
1. Carditis
2. Arthralgia
3. Erythema marginatum
4. Subcutaneous nodule

Correct answer: 2. Arthralgia

Explanation: Ans. is 'b' i.e., Arthralgia